Which of the changes occur in bone growth -
1. Increased acid phosphatase
2. Increased urinary calcium
3. Increased bone nucleotidase
4. Increased osteocalcin

Correct answer: 4. Increased osteocalcin

Explanation: During bone growth and development, bone formation, i.e. osteoblastic activity predominates → Osteocalcin is used as sensitive and specific serum marker for osteoblastic activity.